A/E are the features of exercise:
1. Left shift of Hb-O2 dissociation curve
2. Increase blood supply to muscle
3. Increase stroke volume
4. Increase O2 extraction

Correct answer: 1. Left shift of Hb-O2 dissociation curve

Explanation: A i.e. Left shift of Hb-O2 dissociation CurveA right shift of Hb - 02 dissociation curveQ is seen in excercising muscle. Right shift occurs because of accumulation of CO2 (..1pH)2 and increased temperature of contracting muscleQDuring exercise- The contractile muscles need more 02Q for energy production.- This need is meet by increasing the blood supply to the muscles. Cardiac activity increases to increase the stroke volumeQ. Capillary bed of the contracting muscle dilate and many previously closed capillaries open up.- In contracting muscle the amount of O2 extracted from blood increases (3 fold increase in O2 extraction from each unit of blood)Q. This is because of right shift of Hb - O2 dissociation curve